Which one of the listed receptor Is a type of receptor on leukocyte that binds to pathogen associated molecular pattern and mediated immune response to bacterial lipopolysaccharide
1. Cytokine receptor
2. G protein coupled receptor
3. Mannose receptor
4. Toll like receptor

Correct answer: 4. Toll like receptor

Explanation: Ref Robbins 9/e p187-188 Cells use several receptors to sense microbes; foremost among these are the Toll-like receptors (TLRs), so named because of homology with the Drosophila Toll protein, that recognize bacterial and viral components